A 65 years male weighing 50 kg was admitted with 80% burn and RL was transfused with Parkland method. How much fluid should be infused in first 8 h:
1. 200 ml/h
2. 500 ml/h
3. 1000 ml/h
4. 8000 ml/h

Correct answer: 3. 1000 ml/h

Explanation: Ans. 1000 ml/h